Intelligence quotient is calculated as:
1. Mental age/Chronological age x100
2. Chronological age/Mental Age x100
3. Mental age x Chronological age
4. Mental age + chronological age/2

Correct answer: 1. Mental age/Chronological age x100

Explanation: Ans. A. Mental age/ Chronological age x100An intelligence quotient (IQ) is a total score derived from several standardized tests designed to assess human intelligence. The intelligence quotientIntelligence quotient (IQ) refers to mental age (MA) expressed as a ratio of chronological age (CA) multiplied by 100. Intellect comprises perception, memory, recognition, conceptualization, convergent and divergent reasoning, verbal ability and motor competence. . There are various intelligence tests that have been devised. Few of them are Phataak adaptation of Bayley scale, Kulshrestha adaptation of Standford Binet test.